Phacomelia is seen due to which drug?
1. Thalidomide
2. Dexamethasone
3. Chlorambucil
4. Betamethasone

Correct answer: 1. Thalidomide

Explanation: Ans. is 'a' i.e., Thalidomide * Has been explained in previous sessions